Which of the following has the maximum half life ?
1. Adenosine
2. Amiodarone
3. Esmolol
4. Lidocaine

Correct answer: 2. Amiodarone